Group A nerve fibers are most susceptible to
1. Pressure
2. Hypoxia
3. Local anaesthetics
4. Temperature

Correct answer: 1. Pressure

Explanation: Pressure on a nerve can cause loss of conduction in large diameter motor,touch& pressure fibre ( ie group A fibre) ,while pain sensation (group c fibre) remains relatively intact. Ref: Ganong's Review of medical physiology;25th edition; pg: 95.